True about endotracheal cuff – a) Low-volume, high pressureb) Low–volume, low pressurec) High-volume, low pressured) High-volume, high pressuree) Equal-volume, pressure
1. a
2. ac
3. ad
4. b

Correct answer: 2. ac

Explanation: Cuffed endotracheal tubes may have either low pressure, high volume cuff or high pressure low volume cuff.